Trinucleotide repeat seen in Fragile X syndrome is
1. CGG
2. CTG
3. CAG
4. GAA

Correct answer: 1. CGG

Explanation: Examples of Trinucleotide-Repeat DisordersDiseaseRepeatFragile X syndromeCGGFriedreich ataxiaGAAMyotonic dystrophyCTGSpinobulbar muscular atrophy(Kennedy disease)Huntington diseaseSpinocerebellar ataxiaCAGRef: Robbins and Cotran Pathologic Basis of Disease; 9th edition; Chapter 5; Genetic Disorders; Page no: 168